Schizophrenia with automutilism is called as
1. Von gogh syndrome
2. Lesch Nyhan syndrome
3. Pfropf's Schizophrenia
4. Catatonia

Correct answer: 1. Von gogh syndrome

Explanation: Schizophrenia + Automutilism : Von Gogh syndrome.
Pfropf's Schizophrenia : Schizophrenia in children.